What is the reagent used in Horrock's apparatus for determining chlorine demand of water –
1. Orthotoluidine
2. Methylene blue
3. Starch iodide indicator
4. Sodium bicarbonate

Correct answer: 3. Starch iodide indicator